Which one is not the bad prognostic sign for pancreatitis
1. TLC >16000/ul
2. Calcium <8mmol/L
3. Glucose >200mg%
4. Prothrombin >2 times the control

Correct answer: 4. Prothrombin >2 times the control

Explanation: Ranson's prognostic criteria for Non-gallstone pancreatitis At admission Age >55 years WBC >16000 cells/mm3 Blood glucose >200mg/dl Serum LDH>350IU/L AST >250 U/L During initial 48hours Hematocrit fall >10 percentage points. BUN elevation >5mg/dl Serum calcium fall to <8mg/dl Arterial pO2<60 mmHg Base deficit >4mEq/L Estimated fluid sequestration >6 litres Ranson's prognostic criteria for gallstone pancreatitis At admission Age >70 years WBC >18000 cells/mm Glucose >220mg/dl Serum LDH >400IU/L AST >250U/L During initial 48 hours Hematocrit fall >10 percentage points BUN elevation >2mg/dl Serum calcium fall to <8mg/dl Base deficit >5mEq/L Arterial pO2<60 mmHg Estimated fluid sequestration >4 litres Patients with one or two criteria have a predicted mortality of less than 1%, with three criteria (10%) of four criteria (15%) with more than seven criteria 50% Ref: Sabiston 20th edition Pgno : 1527-1528